Cause of ITP is
1. Vasculitis
2. Antibody to vascular epithelium
3. Antibody to platelets
4. Antibody to clotting factors

Correct answer: 3. Antibody to platelets